A 13 year girl with fatigue and weakness was found to be having reduced hemoglobin. Her MCV 70FC, MCH22pg and RDW 28. What is her likely diagnosis
1. Iron deficiency anemia
2. Thalassemia major
3. Sideroblastic anemia
4. Thalassemia minor

Correct answer: 1. Iron deficiency anemia

Explanation: Decreased heamoglobin with the clinical features of fatigue and weakness is diagnostic of anemia.
MCV is 70% Ft, So, microcytosis is present (normal MCV is 80-96ft)
MCH is 22pg, so, decreased MCH is suggestive of hypochromic anermia (normal MCH is 27 - 33 pg)
Red Cell distribution with (RDW) is the co efficient of variation of size of RBC's normal value is 11.5 - 14.5 it is an indicator of anisocytosis which may present in IDA as well as heamolytic anemia.
In early iron deficiency anemia, RDW increased along with low MCV white in beta thalassemia trait RDW is normal with low MCV, thus distingguishing from each other.